What is the rationale behind xenobiotic metabolism by CYP enzymes?
1. increases water solubility
2. increases lipid solubility
3. conversion to an active metabolite
4. makes it suitable to evaporate through skin surface

Correct answer: 1. increases water solubility

Explanation: the aim of xenobiotics metabolism is to increase water solubility so that these compounds can be exceed through urine. (Ref-Goodman Gillman 12th/e p124/125)